All are short and rapid acting insulins, EXCEPT:
1. Lispro
2. Aspart
3. Glargine
4. Glulisine

Correct answer: 3. Glargine

Explanation: Glargine is not a short acting insulin. It is soluble peak less ultra long-acting insulin. All the other options given are short acting insulin. Ref: K D Tripathi Textbook of Pharmacology, 5th Edition; Insulin Therapy By Jack L. Leahy, William T. Cefalu